What is the ratio of placental weight to fetal weight at term ?
1. 1:04
2. 1:05
3. 1:06
4. 1:07

Correct answer: 3. 1:06

Explanation: Placenta weighs 500 gm, the proportion to the weight of the baby being roughly 1:6 at term and occupies about 30% of the uterine wall.